Which of the following not a prion associated disease -
1. Srapie
2. Kuru
3. Creutzfeldt Jakob disease
4. Alzheimer's disease

Correct answer: 4. Alzheimer's disease

Explanation: scrapie,CJD&Kuru are prion disease REF:ANATHANARAYANAN MICROBIOLOGY NINTH EDITION PAGE.557